Important components of collagen synthesis, wound strength and contraction include all of the following EXCEPT
1. Fibroblasts
2. Myofibroblasts
3. Vitamin C
4. Vitamin D

Correct answer: 4. Vitamin D

Explanation: Nutritional  status  has  profound  effects  on  repair; protein  malnutrition  and  vitamin  C  deficiency,  for example, inhibit collagen synthesis and retard healing.
Robins 10 th ed page no 93